Multiple epidermoid cysts are seen in ?
1. Turcot's syndrome
2. Gardner's syndrome
3. Peutz-Jegher syndrome
4. Familial polyposis coli

Correct answer: 2. Gardner's syndrome

Explanation: Ans. is 'b' i.e., Gardener's syndrome